Not true about bladder stones is -
1. Primary stones are rare
2. Max stones are radio opaque
3. Rare in Indian children
4. Small stones can be removed per urethra

Correct answer: 3. Rare in Indian children

Explanation: " Vesical calculi are common in some parts of the country, eg. Rajasthan, Andhra Pradesh and some northeastern states. These stones are usually single and composed of ammonium acid urate and calcium oxalate (ie radioopaque stones). These calculi usually occur in boys below 5 yrs. of age." " Bladder stones are relatively uncommon in the U.S, but they do occur in children in parts of India, Indonesia, China and the middle east where diets low in phosphate and protiens result in ammonium urate stones. Primary bladder stone is one that develops in sterile urine & originates in kidney and passes down the ureter to the bladder, where it enlarges. Secondary bladder stones occur in presence of some infection, bladder outflow obstruction, impaired bladder emptying or a foreign body such as nonabsorbable sutures, metal staples or catheter fragments. Most of the bladder stones are secondary. Only some stones are primary. Kidney stones which are small enough to pass through the ureter into baldder are easily passed out through the urethra. Most bladder stones contain calcium and are therefore radiopaque.